Complication of colies' fracture are all EXCEPT
1. Malunion
2. Carpal tunnel syndrome
3. Shoulder-hand syndrome
4. Gun stock deformity

Correct answer: 4. Gun stock deformity

Explanation: i.e. (Gun stock deformity): (95-96-J-Maheshwari 3rd)Gun-stock deformity (Cubitus varus deformity) is a malunion late complication of supracondylar fracture of the humerus. This is because the fracture unites with the distal fragment tilted medially and in internal rotation - Treatment French OsteotomyComplication of Colie's Fracture1. Stiffness of Joints - Commonest complications, the shoulder, wrist and elbow are the other joints to become stiff.2. Malunion - The cause of malunion is redisplacement of the fracture within the plaster so that a "dinner fork deformity"? results3. Sub luxation of the inferior radio-ulnar joint4. Carpal tunnel syndrome - Malunion of Colles fracture crowds the carpal tunnel and compresses the median nerve5. Sudeck's osteodystrophy - due to an abnormal sympathetic reponse which causes vasodialation and osteoporosis at site6. Rupture of the extensor pollicis longus tendon occurs due to attrition of tendon as it glides over the sharp fracture surfaces7. Frozen shoulder - hand syndrome - This is a troublesome complication which develops due to unnecessary voluntary shoulder immobilization by the patient on the affected side for the fear of fracture displacement8. Carpal instability